Dopamine at 1-2 Microgram/ Kg/ min produces-
1. Renal vasodilatation
2. Positive ionotropic effect
3. Mesenteric vasoconstriction
4. Generalised vasoconstriction

Correct answer: 1. Renal vasodilatation

Explanation: Ans. is 'a' i.e.. Renal vasodilatation o Dopamine produces dose dependent action: At low dose (1-2 mg/kg/min) causes dilation of renal and mesentric vessels - often referred as renal dose:At moderately high dose (2-10 pm/kg/min) produces a positive ionotropic effect by stimulating b1 receptor on heart - cardiac dose.At high doses (> 10 pm/kg/min) produces vasoconstriction by stimulating a, receptors - vascular dose.